Most rapid test for diagnosis of malaria is ?
1. Thick blood smear
2. HRP-2 antigen
3. Thin blood smear
4. PCR

Correct answer: 2. HRP-2 antigen

Explanation: Ans. is 'b' i.e., HRP-2 antigen Rapid diagnostic tests are simple and the procedure can be performed on the spot in field conditions. These tests use finger-stick or venous blood, the completed test takes a total of 15-20 minutes, and a laboratory is not needed.Rapid diagnostic tests are antigen based and directed agains :Histidine rich protein-II (HRP-II)Plasmodium glutamate dehydrogenase (pGIuDH)Plasmodium falciparum lactate dehydrogenase (PfLDH)Plasmodium falciparum aldolase (pAldo) or fructose-bisphosphate aldolase